Two identical twins will not have same
1. Fingerprints
2. Iriscolour
3. DNA
4. Blood group

Correct answer: 1. Fingerprints